Alkaline phosphatase is specific to which type of following cells
1. Eosinophils
2. Neutrophils
3. Polymorphs
4. Basophils

Correct answer: 2. Neutrophils

Explanation: (Neutrophils) (414- HM5'h) (639- Basic pathology 8th)Neotrophil Alkaline phosphatase (NAP) score in the cytoplasm of mature neutrophils in leukaemoid reaction is characteristically high and is very useful to distinguish if from CML in doubtful cases* Acid phosphatase is found in all hematopoietic cells but the highest levels are found in macrophages and osteoclasts (Monocytes) (AIIMS-2006)